Oxytocin challenge test for assessing fetal well being is contraindicated in all except:
1. Placenta previa
2. Previous 2 LSCS
3. Breech
4. Premature labour

Correct answer: 3. Breech

Explanation: Contraindications of Contraction Stress Test:

Compromised fetus.
Previous history of cesarean section.
Complications likely to produce preterm labour.
APH.